Lice is a vector of all of the following except:
1. Q fever
2. Epidemic typhus
3. Relapsing Fever
4. Trench fever

Correct answer: 1. Q fever